Antigaucomatous drug causing spasm of accommodation
1. Timolol
2. Pilocarpine
3. Dorazolamide
4. Latanoprost

Correct answer: 2. Pilocarpine

Explanation: Ans. is 'b' i.e., Pilocarpine Ocular side effects of topical agents for POAG 13-blocker: Allergic blepheroconjunctivitis, corneal hyposthesia, blurred vision, dry eye, superficial punctate keratitis. Cholinomietics (pilocarpine): Blurred vision, miosis, accommodative spasm, browache. Sympathomimetics Non-selective (Dipivefrine): Follicular conjunctivities, rebound congestion, macular edema in aphakic Apraclonidine: Allergies, lid retraction, follicular conjunctivitis, fluctuation in visual acuity Brimonidine: Ocular allergy, conjuntival blanching. Carbonic anhydrase inhibitors (Dorzolamide, brinaolamide): Punctate keratitis, ocular allergies. Prostaglandin analogues (Latanoprost): Punctate keratitis, iris pigmentation.